True statement regarding mechanism of action of sulfonylureas is:-
1. Increase peripheral utilization of glucose
2. Reduce hepatic glucose output
3. Act on SUR1 receptors on pancreatic beta cell membrane
4. Increase transcription of genes regulating glucose metabolism

Correct answer: 3. Act on SUR1 receptors on pancreatic beta cell membrane

Explanation: SULFONYLUREAS These bind to sulfonuyl urea receptors 1 (SUR1) on b cells of pancreas and inhibit ATP sensitive K+ channels. This cause depolarization of b cells resulting in release of insulin. These drugs are effective only if 30 % or more of the b cells in the pancreas are available. Major limitation of these drugs is like insulin, can also cause hypoglycemia.